Erysipeloid is transmitted by :
1. Droplet
2. Feco-oral
3. Mosquito bite
4. Contact with animal

Correct answer: 4. Contact with animal

Explanation: D i.e. Contact with animals Erysipeloid is caused by Erysipelothrix rhusiopathiae & Bacillus erisepeletus, is most often associated with fish & swine & causes cellulitis primarily in fishmongers & bone renderers. It is transmitted by contact with animalsQ.